Causes of status epilepticus in a child –
1. Hypernatremia
2. Hyponatremia
3. Hyperkalemia
4. Hypokalemia

Correct answer: 2. Hyponatremia

Explanation: Causes of status epilepticus in children 

Idiopathic                                                                                                   
Congenital/Developmental neurological abnormalities                      
Meningitis, Encephalitis                                                                            
Head trauma              
Drug intoxication 
Hypoglycemia         
Hyponatremia        
Pyridoxin deficiency